The most common tumour of cerebellopontine angle is
1. Meningioma
2. Acoustic neuroma
3. Neurofiroma
4. None of the above

Correct answer: 2. Acoustic neuroma

Explanation: Acoustic neuroma comprises 80% of all cerebellopontine angle tumours. Ref: Textbook of diseases of ENT, PL Dhingra, 7th edition, pg no. 125